In papilledema, all the following are true except -
1. Blurring of the disc
2. Congestion of retinal veins
3. Soft white exudates around the disc
4. Sudden loss of vision

Correct answer: 4. Sudden loss of vision

Explanation: Visual acuity and pupillary reactions usually remain fairly normal until late stages when optic atrophy sets. Even then, there is gradually progressive painless loss of vision.